Bosentan is a/an:
1. Serotonin uptake
2. Endothelin receptor antagonist
3. Leukotriene modifier
4. Phosphodiestease inhibitor

Correct answer: 2. Endothelin receptor antagonist

Explanation: Endothelin receptors are of 2 types 1.ET A - in smooth muscles 2.ET B - in vascular endothelial cells BOSETAN , macicentan: endothelin receptor antagonists used for the treatment of pulmonary hypertension Ref: KD Tripathi 8th ed